Drugs used in acute myocardial infarction are all EXCEPT :
1. Plasminogen activator inhibitors
2. Thrombolytics
3. Antiplatelet drugs
4. Alteplase

Correct answer: 1. Plasminogen activator inhibitors

Explanation: (Ref: KDT 6/e p537, 538, 606, 607) Tissue plasminogen activators are used in acute MI (not the inhibitors) Thrombolytic agents like streptokinase, Urokinase, alteplase and reteplase are used to lyse the thrombus. Antiplatlet drugs like aspirin are started to prevent the re-infarction.